A patient Shyam is admitted to the emergency following a drug overdosage with severe tachycardia. He had been receiving therapy for hypertension and angina. Which of the following drugs can cause tachycardia ?
1. Guanethidine
2. Isosorbide dinitrate
3. Propranolol
4. Verapamil

Correct answer: 2. Isosorbide dinitrate